Carcinoma of the cheek:
1. Characteristically is columnar-celled.
2. Has a recognized association with chewing gum
3. Has a recognized association with chewing betel nut
4. Has a recognized association with geographic tongue

Correct answer: 3. Has a recognized association with chewing betel nut